The unit of measurement used in bacteriology is
1. Micron
2. Millimeter
3. Angstrom
4. Nanometer

Correct answer: 1. Micron

Explanation: Unit of measurement used in bacteriology is the micron Ref: Anantanarayan; 7th edition; Page no: 7